Which of the following is best for diagnosis of pheochromocytoma?
1. 24-hour urinary Vaniyll Mandelic acid
2. 24-hour urinary Fractionated Metanephrine
3. 24-hour Urinary Hydroxy indole acetic acid
4. 24-hour Urinary Hydroxy tryptamine

Correct answer: 2. 24-hour urinary Fractionated Metanephrine

Explanation: Pheochromocytoma Most sensitive screening test for pheochromocytoma- Urinary catecholamines and Vanillyl mandelic acid (VMA)level. Best test for diagnosis of pheochromocytoma- 24 hours plasma fractionated Metanephrine > 24 hours urinary plasma fractionated Metanephrine 24 hours urinary hydroxy indole acetic acid is performed for carcinoid tumors